Which of these is an easy and yet a reliable test of ovulation ?
1. Basal body temperature
2. Vaginal cytology
3. Serum Progesterone level
4. Endometrial biopsy

Correct answer: 3. Serum Progesterone level

Explanation: Easy and reliable method : Serum progesterone levels Serum progesterone level: a simple blood test done at D21 or 7 days before expected menses. A value of >= 3 ng suggests ovulatory cycle Basal Body temperature: easy but not very reliable, as body temperature may vary for various reasons Vaginal cytology: involves taking a vaginal smear and its microscopy for calculating ratio of parabasal, intermediate and superficial cells, therefore not a very easy test to perform, although it is reliable Endometrial biopsy: most reliable test, tells about secretory changes in endometrium, but not the easiest test